The main advantage of composites over unfilled direct
filling resin is their:
1. Higher solubility in saliva
2. Lower modulous of elasticity
3. esthetic excellence
4. Lower thermal co-efficient of expansion

Correct answer: 4. Lower thermal co-efficient of expansion